Which one of the following is not essential for primary impression:
1. Retention
2. Stability
3. Phonetics
4. Aesthetics

Correct answer: 3. Phonetics